Type of inheritance of Tuberous sclerosis is?
1. Autosomal dominant
2. Autosomal Recessive
3. X Linked dominant
4. X Linked recessive

Correct answer: 1. Autosomal dominant

Explanation: Robbins basic pathology 6th edition. Chapter the central nervous system. page no. 1354. Tuberous sclerosis is an autosomal dominant disorder characterised by development of hamartomas and bening neoplasms involving the brain and other tissues .